T cells mature in:
1. Thyroid
2. Tongue
3. Thymus
4. Trachea

Correct answer: 3. Thymus

Explanation: Ans: C i.e. Thymus Immunologically incompetent cells which go to the thymus are "preprocessed" there (thymus) and become T cells. The letter T comes from the word thymus.